Which one of the following phenomena is closely associated with slow wave sleep:
1. Dreaming
2. Atonia
3. Sleep walking
4. Irregular heart rate

Correct answer: 3. Sleep walking

Explanation: C i.e. Sleep walking